Characteristic of alcohol withdrawal?
1. Hallucination
2. Illusion
3. Delusion
4. Drowsiness

Correct answer: 1. Hallucination

Explanation: A i.e. Hallucination